Sudha ache 20 year old female developed antibiotic associated pseudomembranous colitis caused by Clostridium difficle. Which of the following drugs is most likely to be effective in the treatment of this disease
1. Ampicillin
2. Clindamycin
3. Metronidazole
4. Chloramphenicol

Correct answer: 3. Metronidazole

Explanation: Ref-KDT 6/799 Drugs used for the treatment of pseudomembranous colitis are Metronidazole (drug of choice) Vancomycin